In living rooms, number of air changes in one hour should be:
1. 2-Jan
2. 3-Feb
3. 4-Mar
4. 5-Apr

Correct answer: 2. 3-Feb

Explanation: Ans. B i.e. 2-3 Air changes per hour is a measure of how many times the air within a defined space (normally a room or house) is replaced. It is recommended that in the living rooms, there should be 2 or 3 air changes per hour; in work rooms and assemblies 4 to 6 air changes.